Which of the following drug does not act on neuromuscular junction
1. Succinylcholine
2. Dantrolene
3. Vecuronium
4. Mivacurium

Correct answer: 2. Dantrolene

Explanation: Dantrolene inhibits Ryanodine receptors and release of calcium from sarcoplasmic seticulum.